'Fracture-ala signature' or signature fracture is -
1. Gutter fracture & Contre copup injury
2. Depressed fracture of skull
3. Ring fracture at foramen magnum
4. Sutural separation

Correct answer: 2. Depressed fracture of skull

Explanation: The synopsis of forensic medicine &toxicology Dr k.s narayan reddy ;28th edition; pg.no. 140 . Depressed fractures produced by local deformation of skull ,caused by a heavy weapon with small striking surface. These are also called FRACTURE A LA SIGNATURE (SIGNATURE FRACTURE)